Intellectual detoriation in a 8 year boy with myoclonus is seen in-
1. SSPE
2. C-J disease
3. GSS
4. Kuru

Correct answer: 1. SSPE